The causative organism for cat-scratch disease is
1. Chlamydia trachomatis
2. Donovania granulomatis
3. Bartonella henselae
4. Hemophilia ducreya

Correct answer: 3. Bartonella henselae